Leucocyte common antigen
1. CD 14
2. CD 15
3. CD 23
4. CD 45

Correct answer: 4. CD 45

Explanation: Antigen DesignationNormal Cellular DistributionCD14MonocytesCD15Granulocytes; Reed-Sternberg cells and variantsCD23Activated mature B cellsCD45All leukocytes; also known as leukocyte common antigen(LCA)Ref: Robbins and Cotran Pathologic Basis of Disease; 9th edition; Chapter 13; Diseases of White Blood Cells, Lymph Nodes, Spleen, and Thymus; Page no: 590